Regarding rheumatic pleural effusion. what is not true
1. PH less than 7.2
2. LDH greater than 700
3. Glucose greater than 50
4. ADH level >50mg/dl

Correct answer: 3. Glucose greater than 50

Explanation: Pleural fluid studies The typical "rheumatoid effusion" is a sterile exudative fluid with low pH (<7.3), low glucose (<60 mg. dL-1) and elevated lactate dehydrogenase (may be >700 IU. Rheumatoid factor is often present in pleural fluid, and may be higher than serum levels. Ref Davidson edition23rd pg 530